Kinky hair disease is due to defect in ?
1. Iron transport
2. Calcium transport
3. Copper transport
4. Magnesium transport

Correct answer: 3. Copper transport

Explanation: Answer- C. Copper transportKinky Hair Disease(Steely Hair Disease, Menkes disease, Copper Transport Disease)It is a X-linked recessive disorder that affects copper levels in the body, leading to copper deficiency.It is caused by mutations in the copper transport gene, ATP7A (located on chromosome Xq21.1), which is responsible formaking a protein that is impoantfor regulating the copper levels in the body.It is characterized by kinky hair, growth failure, and deterioration ofthe nervous system.